Which of the following nitrogen base is not seen in RNA:
1. Adenine
2. Thymine
3. Guanine
4. Cytosine

Correct answer: 2. Thymine

Explanation: Ans. (b) ThymineRef: Harper's Biochemistry, 30th pg. 341, 29th ed. pg. 344Nitrogen Bases present in RNA are-Nitrogen Bases present in DNA are-* Adenine* Adenine* Guanine* Guanine* Uracil* Thymine* Cytosine* Cytosine